Dean's fluorosis index was modified in the year
1. 1934
2. 1938
3. 1942
4. 1945

Correct answer: 3. 1942